A patient presents with lower gastrointestinal bleed. Sigmoidoscopy shows ulcers in the sigmoid. Biopsy from this area shows flask-shaped ulcers. Which of the following is the most appropriate treatment -
1. Intravenous ceftriaxone
2. Intravenous metronidazole
3. Intravenous steroids and sulphasalazine
4. Hydrocortisone enemas

Correct answer: 2. Intravenous metronidazole

Explanation: • MC site of amebic colitis: Cecum and ascending colon.
• Flask shaped ulcers on colonoscopy confirms the diagnosis of amebic colitis.
• Asymptomatic carrier: Luminal agents (Iodoquinol, paromomycin).
• Acute colitis: Metronidazole and luminal agents.
• Amebic liver abscess: Metronidazole, tinidazole and luminal agents.